Ponds fracture is most common -
1. Children
2. Adult
3. Old age
4. No relation with age

Correct answer: 1. Children

Explanation: Ans. is 'a' i.e., Children